Hong kong operation is done in
1. TB spine
2. TB Hip
3. TB Knee
4. Chronic osteomyelitis

Correct answer: 1. TB spine